Which of the following is true regarding sampling?
1. In simple random sampling the population is divided into strata
2. Snowball sampling is used for hidden population
3. Snowball sampling is used for hidden population More sample in systemic random sampling
4. Cluster sampling is less cost effective

Correct answer: 2. Snowball sampling is used for hidden population

Explanation: Cluster sampling is cost effective. In stratified random sampling the population is divided into strata. Ref: Park, 20th Edition, Page 752